A patient with a history of recurring attacks of pancreatitis, eruptive xanthomas, and increased plasma triglyceride levels (2,000 mg/dL). Which of the following is the most likely deficiency:
1. Lipoprotein Lipase
2. LDL receptors
3. HMG-CoA reductase
4. ABCA1 receptor

Correct answer: 1. Lipoprotein Lipase

Explanation: In this patient, Accumulation of TGs leads to Eruptive xanthomas | risk of acute pancreatitis Milky plasma suggests | Chylomicrons Due to the defect in lipoprotein lipase enzyme Characteristic of familial hyperchylomicronaemia. LDL receptor defect leads to accumulation of LDL, not TGs -(option b) is excluded. Complete deficiency of HMG-CoA reductase Lethal Incompatible with life -(option c) is excluded. ABCA1 defect leads to Tangier's disease - (option d) is excluded.